Structures not passing through inferior cerebellar peduncle -a) Pontocerebellarb) Cuneocerebellarc) Anterior spinocerebellard) Posterior spinocerebellare) Vestibulocerebellar
1. a
2. bc
3. ad
4. ac

Correct answer: 4. ac